Classical pathway macrophage activating molecule:
1. IFN-U
2. IL-4
3. IL-13
4. IL-1

Correct answer: 1. IFN-U

Explanation: MECHANISM OF CHRONIC INFLAMMATION